First active metabolite of chloral hydrate is?
1. Ethanol
2. Dichloroethanol
3. Trichloroethanol
4. Monochloroethanol

Correct answer: 3. Trichloroethanol